The Epworth scale is used for assessing:
1. Body mass index
2. Vital capacity in Post operative patients
3. Sleep apnea
4. Risk of embolism in perioperative patient

Correct answer: 3. Sleep apnea

Explanation: The Epworth Sleepiness Scale (ESS) and the STOP-Bang questionnaires have not been validated in outpatient primary care settings but are quick and easy to use. The ESS measures daytime sleepiness, with a score of >=10 indentifying individuals who warrant additional investigation scale. Ref Harrison 19th edition pg 1721